A 35 year old patient complains of abdominal cramps along with profuse diarrhea. The treating physician wants to process the stool specimen for isolation of Campylobacter jejuni. Which of the following is the method of choice for the culture of stool ?
1. Culture on TCBS medium incubated at 37degC under aerobic conditions
2. Culture on Skirrow's medium incubated at 42degC under micro-aerophilic conditions.
3. Culture on MacConkey's medium incubated at 42degC under anaerobic contions
4. Culture on Wilson and Blair's medium incubated at 37deg under microaerophilic conditions

Correct answer: 2. Culture on Skirrow's medium incubated at 42degC under micro-aerophilic conditions.

Explanation: Ans. is 'b' i.e., Culture on skirrow's medium incubated at 42degC under micro-aerophilic conditions . Compylobacter jejuni is thermophilic, growing well at 42degC. Inoculated plates are incubated under microaerophilic conditions with an atmosphere of 5% 02, 10% CO2 and 85% N2 at 42degC. . Plating media commonly used are 1) Skirrow's medium 2) Butzler's medium 3) Campy BAP medium . Transport medium - Cary-Blair medium . The jejunum and the ileum are the primary sites of colonization. . C. jejuni is invasive pathogen, may involve mesentric lymph node and cause bacteremia. Treatment . Most cases resolve without antimicrobial therapy with fluid and electrolyte replacement. . When needed, erythromycin is the drug of choice.